Raw material used in nylon suture is:-
1. Polyethylene terephthalate
2. Polyamide polymer
3. Polybutylene terephthalate
4. Polyester polymer

Correct answer: 2. Polyamide polymer

Explanation: Raw material used in nylon suture is Polyamide polymer. Suture Types Raw material Tensile strength Absorption rate Silk Braided or twisted multifilament; Coated (with wax or silicone) or uncoated Natural proteinRaw silk from silkworm Loses 20% when wet; 80-100% lostby 6 months Fibrous encapsulation in body at 2-3 weeks ; Absorbed slowly over 1-2 yearQ Catgut Plain Collagen derived from healthy sheep or cattle Lost within 7-10 days Phagocytosis and enzymatic degradation within 7-10 daysQ Catgut Chromic Tanned with chromium salts to improve handling and resist degradation in tissueQ Lost within 21-28 days Phagocytosis and enzymatic degradation within 90 days Polyglactin (Vicryl) Braided multifilament Copolymer of lactide & glycolideQ in a ratio of 90:10, coated with polyglactin & calcium stearate Approx, 60% remains at 2 weeks; 30% remains at 3 weeks Hydrolysis minimal until 5-6 weeks; Complete absorption 60-90 daysQ Polyglyconate Monofilament Dyed or undyed Copolymer of glycolic acid and trimethylene carbonateQ Approx, 70% remains at 2 weeks; 55% remains at 3 weeks Hydrolysis minimal until 8-9 weeks; Complete absorption 180 daysQ Polyglycaprone (Monocryl) Monofilament Coplymer of glycolide & caprolactoneQ 21 days maximum 90-120 daysQ Polyglycolic acid (Dexon) Braided multifilament Dyed or undyed Coated or Uncoated Polymer of polyglycolic acidQ Approx, 40% remains at 1 week; 20% remains at 3 weeks HydrolysisQ minimal at 2 weeks; significant at 4 weeks; Complete absorption 60-90 daysQ Polydioxanone (PDS) Monofilament dyed or undyed Polyester polymerQ Approx, 70% remains at 2 weeks; 50% remains at 4 weeks; 14% remains at 8 weeks Hydrolysis minimal at 90 days; Complete absorption 180 daysQ Nylon Monofilament or braided multifilament Dyed or undyed Polyamide polymer Loses 15-20% per year Degrades at approximately 15-20% per year Polypropylene Monofilament. Dyed or undyed Polymer of propylene Infinite (>1 year) Non-absorbable: remains encapsulated in body tissues